Ring of Sommerring is seen in -
1. Galactosemia
2. Dislocztion of lens
3. Acute congestive glaucoma
4. After cataract

Correct answer: 4. After cataract

Explanation: Ring of sommerring and Elsching's are seen in after cataract. (Ref: Parson's 22nd/e p.285 & 21st/e p.279)